An immunocompromised person presents to PGI with history of seizures had an MRI that revealed a temporal lobe lesion. Brain biopsy results showed multinucleated giant cells with intranuclear inclusions. The most probable cause of the lesion is:
1. Hepatitis C virus
2. Herpes simplex virus
3. Listeria monocytogenes
4. Coxsackievirus

Correct answer: 2. Herpes simplex virus

Explanation: The most probable cause of the lesion is Herpes simplex virus. It causes primary and recurrent disease. Encephalitis, which usually involves the temporal lobe, has a high mortality rate. Severe neurologic sequelae are seen in surviving patients. Giant multinucleated cells are typically found at the base of the Herpes virus lesion.